Type of collagen found in space of Disse in liver is
1. Collagen I & II
2. Collagen III & IV
3. Collagen II & III
4. Collagen II & V

Correct answer: 2. Collagen III & IV

Explanation: Type III is seen in skin, lung and vascular tissues Type IV is seen in the basement membranes. About 30 genes are resposible for the collagen synthesis, and the enzymes necessary for collagen synthesis REFERENCE : DM VASUDEVAN TEXTBOOK SEVENTH EDITION : PAGE NO :720